Candida albicans can be differentiated from other Candida species on cornmeal agar by its unique ability to form which of the following
1. Aseptate hyphae
2. Germ tubes
3. Chlamydospores
4. Arthrospores

Correct answer: 3. Chlamydospores

Explanation: Although multiple Candida species may cause disease in humans, C.albicans is the most frequent species identified. Chlamydospores (chlamydoconidia) are round, thick-walled spores formed directly from the differentiation of hyphae in which there is a concentration of protoplasm and nutrient material. They may be intercalary (within the hyphae) or terminal (end of hyphae). Germ tubes appear as hyphal-like extensions of yeast cells, usually without a constriction at the point of origin from the cell. Approximately 75 percent of the yeasts recovered from clinical specimens are C. albicans, and the germ-tube test can usually provide identification within 3 hours. The morphologic features of yeasts on cornmeal agar containing Tween 80 allow for the differentiation of C. albicans from five other Candida species. Ref:- Baveja textbook of Microbiology